Metacarpophalangeal joint is coming under the following classification of joints:
1. Plant joint
2. Condyloid joint
3. Ball and socket joint
4. Saddle shaped joint

Correct answer: 2. Condyloid joint

Explanation: Metacarpophalangeal joint is a type of condyloid joint. These joints have two distinct convex surfaces that articulate with two concave surfaces. The movements of flexion, extension, abduction, and adduction are possible together with a small amount of rotation. Types of joints:Fibrous joints (e.g., Sutures of the vault of the skull, inferior tibiofibular joints)Cartilaginous joints (e.g., Symphysis pubis)Synovial jointsPlane joints (e.g., Sternoclavicular and acromioclavicular joints)Hinge joints (e.g., Elbow, knee, ankle)Pivot joints (e.g., Atlantoaxial and superior radio ulnar joints)Condyloid joints (e.g., Metacarpophalangeal joints)Ellipsoid joints (e.g., Wrist)Saddle joints (e.g., Carpometacarpal joint of the thumb)Ball-and-socket joints (e.g., Shoulder and hip joints)